B-type tympanogram is seen in-
1. Serous otitis media
2. Ossicular discontinuity
3. Otosclerosis
4. All of the above

Correct answer: 1. Serous otitis media